Left ventricular hypertrophy is caused by all except:
1. Aortic stenosis
2. Chronic cor pulmonale
3. Chronic kidney disease
4. Essential hypertension

Correct answer: 2. Chronic cor pulmonale

Explanation: Ans. B: Chronic cor pulmonale Chronic elevation of myocardial stress due to pressure overload, as in hypertension or aortic stenosis or hypertrophic cardiomyopathy, causes cardiac muscle to hypertrophy with a resulting increase in myocardial thickness. There is normally little or no change in overall cardiac size, so the wall thickening occurs at the expense of the cavity. Chronic cor pulmonale leads to right ventricular hypertrophy